Dorzolamide is a
1. Second generation sulfonylurea hypoglycaemic
2. Topical sulfonamide antibacterial
3. Luminal amoebicide
4. Topically applied ocular carbonic anhydrase inhibitor

Correct answer: 4. Topically applied ocular carbonic anhydrase inhibitor

Explanation: Carbonic anhydrase inhibitors Include Acetazolamide,Dorzolamide. Dorzolamide (2% eyedrops BD-TDS):- It is a topically useful carbonic anhydrase inhibitor. It lowers i.o.t. by ~20%; somewhat less efficacious than timolol. side effects:- Ocular stinging, burning, itching, corneal edema and bitter taste. Dorzolamide is used only as add on drug to topical b blockers/PG analogues, or when these drugs are contraindicated. Ref:- kd tripathi; pg num:-155